The commonest extradural spinal tumour is -
1. Neurofibroma
2. Glioma
3. Meningioma
4. Metastasis

Correct answer: 4. Metastasis

Explanation: • MC spinal tumor: Metastasis
• MC primary spinal tumor: Nerve sheath tumor
• MC intramedullary tumor: Astrocytoma
• MC site of primary spinal tumor: Intradural extramedullary